In a viral infection, immunoglobulins are to be given in which of the following condition
1. SCID
2. HIV
3. Dengue
4. Severely malnourished

Correct answer: 1. SCID

Explanation: , the FDA approved elapegademase (Revcovi) for treatment of adenosine deaminase severe combined immune deficiency (ADA-SCID) in adults and children. The drug had been available as an orphan drug prior to approval. Enzyme replacement helps prevent potentially serious, life-threatening infections in this patient population. Trimethoprim-sulfamethoxazole is prescribed routinely after the second month of life in children with severe combined immunodeficiency (SCID) until after bone marrow transplant (BMT) engraftment. This is Pneumocystis jiroveci prophylaxis. Intravenous immunoglobulin (IVIg) is used to prevent infection before BMT and, in selected patients, after BMT, if B-cell function remains poor Ref Harrison20th edition pg 997